Which is conerned with cell mediated immunity
1. B-Lymphocytes
2. T-Lymphocytes
3. Eosinophils
4. Monocytes

Correct answer: 2. T-Lymphocytes

Explanation: Ans. is 'b' i.e., T-Lymphocytes